Which of the following antiepileptic agents acts on the GABA ergic system to decrease the uptake of GABA into neurons and glial cells?
1. Vigabatrin
2. Progabide
3. Gabapentin
4. Tiagabine

Correct answer: 4. Tiagabine

Explanation: Tiagabine is an inhibitor of GAT-1(GABA-transpoer). Ref: KD Tripathi 8th ed.